Commonest presentation of bilateral ureteric stones -
1. CRF
2. UTI
3. Pain
4. Hematuria

Correct answer: 3. Pain